vWF is useful in:
1. Platelet adhesion
2. Platelet aggregation
3. Clot formation
4. Fibrinolysis

Correct answer: 1. Platelet adhesion

Explanation: Ans. (a) Platelet adhesion(Ref: Robbins 9th/pg 661)2 major functions of vWF are: Platelet adhesion via GpIb/IX and Stabilizes factor VIII in circulation